Mylohyoid muscle:
1. Arises from hyoid bone
2. Developed from second pharyngeal arch
3. Depresses the hyoid
4. Elevates the hyoid

Correct answer: 4. Elevates the hyoid